Treatment of choice for perforation in pars flaccida of the tympanic membrane with cholesteatoma is -
1. Myringoplasty
2. MRM-Modified Radical Mastoidectomy
3. Antibiotics
4. Radical mastoidectomy

Correct answer: 2. MRM-Modified Radical Mastoidectomy

Explanation: CSOM is of Two Types